One year old male child with cat's eye reflex and raised IOT:
1. Toxplasma gondi infection
2. Toxcara canis
3. Retinoblastoma
4. Retinopathy of prematurity

Correct answer: 3. Retinoblastoma

Explanation: C i.e. Retinoblastoma